GemciGemitis effective in
1. Head and neck cancers
2. Pancreatic cancer
3. Small cell lung cancer
4. Soft tissue sarcoma

Correct answer: 2. Pancreatic cancer

Explanation: Ref-Katzung 10/891 Gemitabine is an antimetabolite that is the drug of choice for pancreatic cancer